Arrange the following phases of Disaster Cycle in a logical sequence:-
1. Disaster impact-Mitigation-Rehabilitation-Response
2. Disaster impact-Response-Rehabilitation- Mitigation
3. Rehabilitation-Response-Disaster impact-Mitigation
4. Response-Disaster impact-Rehabilitation- Mitigation

Correct answer: 2. Disaster impact-Response-Rehabilitation- Mitigation

Explanation: Disaster impact-Response-Rehabilitation- Mitigation